Systemic factor which is responsible for bone remodeling :
1. IL-1,IL-6.
2. TGF b.
3. PGE2.
4. PTH.

Correct answer: 4. PTH.

Explanation: Regulatory Factors in Bone Remodelling